Rienke's edema in vocal cord is
1. Mucosal
2. Submucosal
3. Muscular layer
4. Involves all the layer

Correct answer: 2. Submucosal